A person is said to be killed by Road traffic accident (A) if he dies within how many days of accident?
1. 12 days
2. 30 days
3. 40 days
4. 47 days

Correct answer: 2. 30 days

Explanation: Road fatality After 2005, person who died within 30 days of a road crash is said to be killed by road traffic accident. Before 2005, fatalities were counted within six days of road traffic accident.